Bacteria, which are not found in normal healthy periodontium, are:
1. Actinomyces
2. Capnocytophaga
3. Veillonella
4. Eubacterium

Correct answer: 4. Eubacterium